Dryness of mouth, dilated pupil & delirium are symptoms of -
1. Chronic lead poisoning
2. Opium addiction
3. Chronic arsenic poisoning
4. Dhatura poisoning

Correct answer: 4. Dhatura poisoning